In a type of cerebral palsy characterized by constant and uncontrolled motion of involved muscles, there is:
1. Spasticity
2. Ataxia
3. Athetosis
4. Rigidity

Correct answer: 3. Athetosis

Explanation: Mcdonald-8 /544
Classification/Types of cerebral palsy :
1.Spastic (approximately 70% of cases)
2.Dyskinetic Athetosis and Choreoathetosis (approximately 15% of cases)
3.Ataxic (approximately 5% of cases)
4.Mixed (approximately 10% of cases)
 
# Dyskinetic athetosis and choreoathetosis (approximately 15% of cases)] :
A.Constant and uncontrolled motion of involved muscles.
B. Succession of slow, twisting, or writhing involuntary movements (athetosis) or quick, jerky movements (choreoathetosis)
C. Frequent involvement of neck musculature, which results in excessive movement of the head ( Hypertonicity of these muscles may cause the head to be held back, with the mouth constantly open and the tongue positioned anteriorly or protruded.
D. Possibility of frequent, uncontrolled jaw movements, causing abrupt closure of the jaws or severe bruxism.
E. Frequent hypotonicity of perioral musculature, with mouth breathing, tongue protrusion, and excessive drooling.
F. Facial grimacing
G. Chewing and swallowing difficulties.
H. Speech problems. 
# Ataxic (approximately 5% of cases) :

Inability of involved muscles to contract completely, so that voluntary movements can be only partially performed.
Poor sense of balance and uncoordinated voluntary movements (e.g. stumbling or staggering gait or difficulty in grasping objects).
Possibility of tremors and an uncontrollable trembling or quivering on attempting voluntary tasks.